Stapedial reflex is mediated by-
1. V and VII nerves
2. V and VIII nerves
3. VII and VI nerves
4. VII and VIII nerves

Correct answer: 4. VII and VIII nerves